Conjugated bilirubin is increased in ?
1. Rotor syndrome
2. Gilbert's syndrome
3. Crigler Najjar syndrome 1
4. Crigler Najjar syndrome 2

Correct answer: 1. Rotor syndrome

Explanation: crigler najjar syndrome-1:defect in conjugation,so unconjugated bilirubin level increases to more than 20mg/dl crigler najjar syndrome-ll:second stage of conjugation is defective Gilbert&;ssyndrome:defect in the uptake of bilirubin by liver. Rotor's syndrome:bilirubin excretion is defective, but there is no staining of liver. TEXTBOOK OF BIOCHEMISTRY,D.M.VASUDEVAN,PG NO:251,252,6th edition